Culture medium used for leptospira for laboratory diagnosis -
1. Skirrows medium
2. EMJH medium
3. BYCEagar
4. Pike's medium

Correct answer: 2. EMJH medium

Explanation: Ans. is 'b' i.e., EMJH medium Leptospirosis|||Isolation of the organismSerological diagnosiso Leptospires can be isolated from blood or CSF during first 10 days of illnesso From urine, leptospires can be isolated for several weeks beginning at around 1 weeko Cultures most often become positive after 2 to 4 weeks (range 1 week to 4 months)o Media used for isolation1) Ellinghausen - Mecullough - Johnson - Harris (EMJH) medium2) Fletcher medium3) Kortkofmedium4) Stuart's mediumo Leptospires grow best under aerobic conditionso Leptospires remain viable in anticoagulated blood (heparin, EDTA or citrate) for up to 11 days.o A fourfold or greater rise in antibody titre is diagnostico Antibodies reach detectable level in second week.o Tests used are1) Microscopic agglutination Test (MAT)2) ELISA3) Indirect hemagglutination test4) Macroscopic slide agglutination test